Most common site of metastasis in Ca colon is
1. Liver
2. Lung
3. Bone
4. Brain

Correct answer: 1. Liver

Explanation: One-third of patients will have liver metastases at the time of diagnosis and 50% will develop them at some point, accounting for the majority of deaths. The lung is the next most common site; metastasis to ovary, brain, kidney, and bone is less common.Ref: Bailey and love, page: 1262